Creatinine is synthesized from
1. Glycine, Arginine and Methionine
2. Glycine and Methionine
3. Ornithine and Glycine
4. Thymine and Ornithine

Correct answer: 1. Glycine, Arginine and Methionine

Explanation: Creatine & CreatinineCreatinine is formed in muscle from creatine phosphate by irreversible, nonenzymatic dehydration, and loss of phosphate. Since the 24-hour urinary excretion of creatinine is proportionate to muscle mass, it provides a measure of whether a complete 24-hour urine specimen has been collected. Glycine, arginine, and methionine all participate in creatine biosynthesis. Synthesis of creatine is completed by methylation of guanidinoacetate by S-adenosylmethionine.Ref: Harper's Biochemistry; 30th edition; Chapter 30; Conversion of Amino Acids to Specialized Products